The heart to the activated sludge process is –
1. Primary sedimentation tank
2. Sludge digestor
3. Aeration tank
4. Final settling tank

Correct answer: 3. Aeration tank